Flexibility of protein depends on
1. Glycine
2. Tryptophan
3. Phenylalanine
4. Histidine

Correct answer: 1. Glycine

Explanation: Glycine is one among the commonest amino acids found in protein structure. Being small and non-polar, glycine  is  mostly  present in  the interior structure of  protein. 
Satyanarayana, Ed 3, Pg 302